Increase in threshold level on applying subthreshold, slowly rising stimulus is kia
1. Adaptation
2. Accomodation
3. Refractoriness
4. Electrotonus

Correct answer: 2. Accomodation

Explanation: B i.e. Accomodation